Earliest presentation of hypopituitarism in adults is?
1. Growth failure
2. Anosmia
3. Visual field defects
4. Hypogonadism

Correct answer: 4. Hypogonadism

Explanation: In children the earliest presentation of hypopituitarism is growth retardation and hypogonadism is the earliest manifestation in adults. Trophic hormone failure with pituitary compression or destruction usually occurs sequentially. Sequence of fall of hormonal levels is GH>FSH>LH>TSH>ACTH. 1st hormone to fall in Sheehan Syndrome is Growth Hormone.